All of the following methods are used for the diagnosis of HIV infection in a 2 month old child, except -
1. DNA_PCR
2. Viral culture
3. HIV ELISA
4. p24 antigen assay

Correct answer: 3. HIV ELISA

Explanation: diagnosis of HIV in 2 month old child is by p24 Sg asday ,PCR&viral culture.ELISA id not used REF:
MICROBIOLOGY ANANTHA NARAYANAN NINTH EDITION PAGE.575